Interleukin responsible for Pyrexia is:
1. IL1
2. IL3
3. IL4
4. IL8

Correct answer: 1. IL1

Explanation: REF Robbins 10th ed. IL1-fever IL4 - humoral and adaptive immunity IL 8 - Neutrophil chemotactic factor IL 3 - for proliferation of pluripotent cells